Rosette shaped cataract in
1. Senile cataract
2. Diabetic cataract
3. Traumatic cataract
4. After cataract

Correct answer: 3. Traumatic cataract

Explanation: Ans. C: Traumatic cataract Rosette Cataract: This opacity may occur as a result of concussion injury, under the anterior or posterior cortex or both and may be complete or sectored with a flower peddle or feather shape. A very close estimation as to when the injury occurred by viewing the lens with an optic section and determining at which nucleus it appears.